Moderately severe hearing loss:
1. 30-40 dB
2. 41-60 dB
3. 56-70 dB
4. 71-90 dB

Correct answer: 3. 56-70 dB

Explanation: Ans. (c) 56-70 dBRef. Dhingra's ENT 6th ed./38 WHO classification for hearing loss:0-25 dBNormal hearing26-40 dBMild hearing loss41-55 dBModerate hearing loss56-70 dBModerately severe hearing loss71-90 dBSevere hearing loss> 90 dBProfound hearing loss